Lactose fermentation is seen in ?
1. Blood agar
2. Chocolate agar
3. MacConkey agar
4. LJ medium

Correct answer: 3. MacConkey agar

Explanation: Ans. is 'c' i.e., MacConkey agar Culture on differential media that contain special dyes and carbohydrates distinguishes lactose-fermenting (colored) from non-lactose-fermenting (non-pigmented) colonies and may allow rapid presumptive identification of enteric bacteria. Such media, used to see lactose fermentation, are :? Eosine-methylene blue (EMB) MacConkey's agar Deoxycholate agar